Self mutilation is a feature of ?
1. Von-Gogh syndrome
2. Catatonic schizophrenia
3. Paranoid schizophrenia
4. None of the above

Correct answer: 1. Von-Gogh syndrome

Explanation: Ans. A. Von-Gogh syndromeDramatic self-mutilation occurring in schizophrenia has also been called Von-Gogh syndrome'